In an adult man weighing 70 Kgs, the Total body water volume will be about -
1. 42L
2. 25L
3. 15L
4. 12L

Correct answer: 1. 42L

Explanation: Ans. A. 42L60% of body weight is composed of water. Therefore, total body water in a 70 Kg man would be 60% of 70 Kg, ie, 42 Kg, which is equivalent to 42 L.